The most reliable among vitality tests is
1. heat test
2. Cold test
3. Electric pulp test
4. test cavity

Correct answer: 4. test cavity